Hypertrophy is a type of
1. Cell injury
2. Cellular adaptation
3. Carcinoma
4. Cell aging

Correct answer: 2. Cellular adaptation

Explanation: Physiological adaptive responses include: * Hypertrophy - increase in cell size * Hyperplasia - increase in number of cells * Atrophy - decrease in cell size and number * Metaplasia - reversible replacement of one cell type by another differentiated cell type Refer robbins 9/e p3